Most common agent causing tuberculosis in AIDS patient in tropical countries is:
1. Mycobacterium tuberculosis
2. Mycobacterium intracellulare1997
3. Mycobacterium parvum
4. Mycobacterium atypical

Correct answer: 1. Mycobacterium tuberculosis

Explanation: Ans. is 'a' i.e., Mycobacterium tuberculosis (Ref: Ananthanarayan, 9th/e, p. 576 and 8th/e, p. 575)Common pathogens causing T.B. in AIDS patients are M. tuberculosis and M. avium intraceliulare. In developing countries, the most important pathogen is M. tuberculosis, with many strain being multidrug resistant.